Student 't' test is a
1. Non parametric test
2. Chi square test
3. Parametric test
4. Test of non significance

Correct answer: 3. Parametric test